Which of the following is NOT known to occur with more severity than usual in patients with HIV infection?
1. Psoriasis
2. Ichthyosis
3. Norwegian scabies
4. Lichen planus

Correct answer: 4. Lichen planus

Explanation: Patients with HIV infection have been reported to develop a severe form of Norwegian scabies with hyperkeratotic psoriasiform lesions. Psoriasis and ichthyosis, although not reported to be increased in frequency, may be particularly severe when they occur in patients with HIV infection.